Which of the following can be done by an 18 months old baby?
1. Making tower of 9 cubes
2. Can use 10 words with meaning
3. Ride tricycle
4. Turn pages of book one at a time

Correct answer: 2. Can use 10 words with meaning

Explanation: Ans. is 'b' i.e., Can use 10 words with meaning * At 18 months, the child can use 10 words with meaning.Other milestones asked in the question are achieved in children older than 18 months* Making a tower of 9 cubes - 30 months* Turn pages of book one at a time - 2 years* Ride tricycle - 3 yearsMilestones achieved at 18 months of age* Starts running (runs stiffy)* Can feed himself from a cup.* Can use 10 words with meaning.* Name pictures* Builds tower of 4 cubes.* Ready for starting toilet training.* Copies parents in task.